Mineral trioxide aggregate used in apexification:
1. Forms an integral part of the root canal filling
2. Dissolves as the apical barrier formation progresses
3. Has not yielded good results
4. Is available in a paste form

Correct answer: 1. Forms an integral part of the root canal filling